Which of the following does not involve nerve damage
1. Guillian Barre syndrome
2. Erb's paralysis
3. Volkmann's paralysis
4. Neurotmesis

Correct answer: 3. Volkmann's paralysis

Explanation: C i.e. Volkman's paralysis Gullian Barre syndrome, erb's paralysis & neurotmesis primarilly involve nerve Whereas Volkman's paralysis is primarilly ischemic paralysis of muscles due to raised intra compartmental pressure (vascular phenomenon)Q. It may secondarily lead to nerve ischemia and damage.